The amino acid residue having an iminoside chain is:
1. Lysine
2. Histidine
3. Tyrosine
4. Proline

Correct answer: 4. Proline

Explanation: Proline does not contain the amino acid group; but only imino group(=NH). Ref: Textbook of Biochemistry By Vasudevan, 5th Edition